Clavipectoral fascia is not pierced by:
1. Medial pectoral nerve
2. Lateral pectoral nerve
3. Cephalic vein
4. Thoracoacromian artery

Correct answer: 1. Medial pectoral nerve

Explanation: The upper portion of the clavipectoral fascia, the costocoracoid membrane, is pierced by the cephalic vein, the lateral pectoral nerve, and branches of the thoracoacromial trunk. The medial pectoral nerve does not pierce the costocoracoid membrane but enters the deep surface of the pectoralis minor.